The following drug acts as Rho kinase inhibitor?
1. Trimetazidine
2. Fasudil
3. Pinacidil
4. Ranolazine

Correct answer: 2. Fasudil

Explanation: Fasudil is an RHO kinase inhibitor(ROCK) which plays an imp role in cytoskeleton organization.used in hypertension mainlyRef: katzung 12th ed, Pg 206